The most common position adopted for surgical procedures is
1. Trendelenburg position
2. Lithotomy position
3. Supine position
4. Prone position

Correct answer: 3. Supine position

Explanation: .Lithotomy position used for all perineal surgeries like for fissure, piles, fistula, and APR. ref:SRB's manual of surgery,ed 3,pg no 913